Nitrates are given in all except
1. Congestive heart failure
2. Renal colic
3. Cyanide poisoning
4. Esophageal spasm

Correct answer: 2. Renal colic

Explanation: Nitrates are not effective in renal colic GTN/ NTG: DOC for acute attack of angina Uses of Nitrates: A- Angina B- Biliary colic C- Cyanide poisoning (DOC- Hydroxocobalamin) D- Dil ka Daura (MI) E- Esophageal spasm F- Failure